What does cardiac polyp means -
1. Acute infarct
2. Cardiac aneurysm
3. Benign tumour
4. Fibrinous clot

Correct answer: 4. Fibrinous clot

Explanation: . Fibrinous clot